Pataus syndrome due to ?
1. Trisomy 21
2. Trisomy 18
3. 18 P
4. Trisomy 13

Correct answer: 4. Trisomy 13

Explanation: Ans. is 'd' i.e., Trisomy 13